Decreased osmotic fragility is not seen in which of the following conditions?
1. Thalassemia
2. Hereditary spherocytosis
3. Sickle cell anemia
4. Iron deficiency

Correct answer: 2. Hereditary spherocytosis

Explanation: - Hereditary spherocytosis is associated with increased osmotic fragility because RBCs are spherical & unstable d/t defect in their cytoskeleton. Osmotic fragility curves of normal and hereditary spherocytosis red blood cells.